Attacks of flushing and cyanosis occur in which type of ovarian tumors?
1. Struma ovarii
2. Krukenberg's tumor
3. Arrhenoblastoma
4. Carcinoid tumors of ovary

Correct answer: 4. Carcinoid tumors of ovary

Explanation: Ans. is d, i.e. Carcinoid Tumors of ovaryRef: Shaw 15th/ed, p378Carcinoid tumor of Ovary:* It is sometimes primary and sometimes metastatic.* Also called Argentaffinoma.* Occurs as a malignant change in benign dermoid cyst.* Presence of solid yellow tumor with histological property of reducing silver salts derived from specialized Kulchitsky cells of intestine.* It produced 5 - HT which causes attacks of flushing and cyanosis.Q